Criminal negligence is punishable under section 304 A for a maximum of -
1. 1 year
2. 2 years
3. 3 years
4. 5 years

Correct answer: 2. 2 years

Explanation: CRIMINAL NEGLIGENCE: The question of criminal negligence may arise: 1) When a doctor shows gross absence of skill or care during treatment resulting in serious injury or death of the patient. 2) When a doctor performs an illegal act. 3) When an assaulant person dies, the defence may attribute the death to the negligence in the treatment of the decreased by the doctor. PROSECUTION: Criminal negligence is more serious than the civil. section 304-A, I.P.C. deals with criminal negligence. Whoever causes the death of any person, by doing any rash or negligent act not amounting to culpable homicide, shall be punished with imprisonment up to 2 years, or with fine or with both. REF: Dr K. S. Narayan Reddys Synopsis of Forensic Medicine & Toxicology 29th edition pg. 23.